In control of pertussis, the drug of choice for cases?
1. Erythromycin
2. Ciprofloxacin
3. Tetracycline
4. Penicillin

Correct answer: 1. Erythromycin

Explanation: Ans. is 'a' i.e., Erythromycin Control of whooping cough o Control of whooping cough requires :? 1) Management of cases and contacts 2) Prevention by active immunization Cases: Erythromycin is the DOC. Alternatives are ampicillin, tetracyclin & septran. Contacts : Those who are exposed ---> 10 days erythromycin